Maximum water reabsorption occurs in-
1. Proximal convoluted tubule
2. Distal convoluted tubule
3. Cortical collecting duct
4. Medullary collecting duct

Correct answer: 1. Proximal convoluted tubule

Explanation: Ans. is 'a' i.e., Proximal convoluted tubule * Most of the solutes and water are maximally absorbed in proximal tubulei) 60-70% of Na+ is reabsorbed along with 60-70% of Clii) 60-70% of K+ is reabsorbediii) 60-70% of water is reabsorbediv) All the (100%) glucose and amino-acids are absorbedv) About 80-90% of bicarbonate is reabsorbedvi) 40-50% of urea is reabsorbed